Cranial nerve with the longest intracranial course is:
1. Abducent
2. Trochlear
3. Facial
4. Auditary

Correct answer: 2. Trochlear

Explanation: Ans: b (Trochlear) Ref: Nelson, 16th ed, p. 1906; Snell's Anatomy 5th ed, p.776, 777Come on guys, it's not abducent: trochlear is the cranial nerve with the longest intracranial course.This is a repeat question from Kerala 86.Trochlear nerve emerges from the dorsal surface of the midbrain, winds around the brainstem running the longest intracranial course of the cranial nerves.Trochlear is the only cranial nerve to emerge dorsally from the brainstem.Characteristic sign of injury- diplopia on looking down.